The narrowest part of the ureter is at the:
1. Uretero - pelvic junction
2. Hiac vessel crossing
3. Pelvic ureter
4. Uretero - vesicle junction

Correct answer: 4. Uretero - vesicle junction

Explanation: D i.e. Uretero - vesicle junctionAt the level of ischial spine ureter changes its direction from down-backward to forward - medially but there is no constriction. The narrowest part of ureter is uretero- vesicle junctions